Average age range of attaining menopause is :
1. 40 - 50
2. 45 - 55
3. 55 - 60
4. 58 - 68

Correct answer: 2. 45 - 55

Explanation: 45 - 55